If convulsions are present, which vaccine should not be given?
1. DPT
2. Oral Polio
3. BCG
4. Tetanus toxoid

Correct answer: 1. DPT

Explanation: (Refer: K. Park's Textbook of Preventive and Social Medicine, 24th edition, pg no: 172)